Opioid available as nasal spray formulation is -
1. Tramadol
2. Codiene
3. Butorphanol
4. Buprenorphine

Correct answer: 3. Butorphanol

Explanation: Ans. is 'c' i.e., Butorphanol * Following table depicts the alternate formulations of opioids:Pharmacokineties of sustained - release formulation of opiodsDrugLogPpKaMolecular weightFormulastionBuprenorphine5.18.510.0467.6Subingula film (suboxone buprenorphine + naloxone) transdernal patch (Butrans)Butorphanol3.78.6327.5Nasal spray (Stadol)Fentanyl4.18.4336.5Nasal spray (Lazanda) Sublingual spray (subsys) Boccal lozenge (Actiq transdermal patch (duragesic)Hydromorphone-4.08.2285.3Extended release tablet (exalgo)Morphine0.89.9285.3Rectal suppository (generic)Tramadol3.09.4263.4Rectal suppository (not marketed in the united states)